True about Rheumatic heart disease and Rheumatic fever is/are -a) Caused by group 'A' streptococcusb) Caused by group 'B' streptococcusc) Carrier have high risk of developing RFd) Carrier have low risk of developing RFe) M-5 protein cross reacts
1. ade
2. bde
3. abd
4. ad

Correct answer: 1. ade